A previously healthy 30-year-old man has been unable to open his right eye.Which of the following cranial nerves is most likely to be affected?
1. 3
2. 4
3. 6
4. 7

Correct answer: 1. 3

Explanation: Opening of the eye is related to Levator Palpebrae Superioris - IIIrd nerve affected so L.P.S will not be able to function Leading to PTOSIS